All of the following statements about Diploic veins are true, except?
1. Develop around 8th week of gestation
2. These have no valves (valveless)
3. Present in cranial bones
4. Have a thin wall lined by a single layer of endothelium

Correct answer: 1. Develop around 8th week of gestation

Explanation: Diploic veins develop after birth and are not visible before 3 years of life. They fully develop only by 15 years of age.